Which of the following parasite does not enter into the body by skin penetration :
1. Dracunculus
2. Necatar Americana
3. Ancylostoma duodenale
4. Stronglyoides

Correct answer: 1. Dracunculus

Explanation: Ans. is 'a' i.e. Dracunculus Dracunculus enters the body through ingestion of Cyclops along with water.Mode of entry of intestinal nematodes:* Ingestion of eggs-Ascaris & Trichuris trichiura* Skin penetration by 3rd stage larva-Ancylostoma duodenale* Ingestion of uncooked meat-Necator Americana Strongyloides stercoralis Trichinella spiraliscarrying the larva * Mode of entry of tissue nematodes:* Dracunculus-Drinking water containing cyclops* W. bancrofti-Mosquito bite* B. Malayi-Mosquito bite* Loa - Loa-Deerflies* Onchocerca volvulus-Blackfly